The principal impact indicator in Iodine Deficiency disorders
1. Urinary Iodine Levels
2. Goitre assessment
3. Neonatal TSH levels
4. Salt Iodine Content

Correct answer: 1. Urinary Iodine Levels

Explanation: Urinary Iodine Levels - principal impact indicator.
Neonatal TSH levels - screening programme for hypothyroidism.